The main source of production of relaxin is
1. Ovary
2. Placenta
3. Decidua
4. Adrenals

Correct answer: 1. Ovary

Explanation: The main source of production of relaxin is the corpus luteum of the ovary but part of it may also be produced by the placenta and decidua. Ref: KD Tripathi 8th ed.